Which fungal infection is commonest in neutropenia?
1. Candida
2. Histoplasma
3. Aspergillus niger
4. Aspergillus fumigatus

Correct answer: 1. Candida

Explanation: Ans. is 'a' i.e., Candida . Cell mediated immune responses, especially CD4 cells, are important in controlling mucocutaneous candidiasis. . The neutrophil is probably crucial for resistance to systemic candidiasis.